High stationary stage of Demography cycle is characterized by ?
1. High birth rate, low death rate
2. Low birth rate, high death rate
3. Low birth rate, low death rate
4. High birth rate, high death rate

Correct answer: 4. High birth rate, high death rate

Explanation: Ans. is 'd' i.e., High birth rate, high death rate